Dicrotic notch is caused by ?
1. Closure of mitral valve
2. Opening of mitral valve
3. Closure of aortic valve
4. Opening of aortic valve

Correct answer: 3. Closure of aortic valve

Explanation: Ans. is 'c' i.e.. Closure of aortic valve Aortic pressure curve With the onset of rapid ejection phase of the ventricular systole, the aortic pressure rises steeply to reach a maximum of about 120 mm Hg. The ejection of blood into the aorta causes a stretch on the aortic walls and makes the blood in the entire arterial system to move at a faster rate. This sets up a pressure wave that travel along the arteries. The pressure wave expands the arterial wall as it travels, and expansion is palpable as the pulse. In the later part of ventricular systole, the aortic pressure declines and continues to decline throughout the diastole, to reach a minimum of about 80 mm Hg during the isometric contraction of the next cardiac cycle. The elastic recoil of the aorta and the resistance of arterioles help to maintain relatively high aortic pressure during diastole. A notch (incisura or dicrotic notch) is rocorded in the early part of down strok of the aortic pressure curve. It corresponds to the closure of aortic valve. It is produced by the sudden backward flow of aortic blood followed by the immediate cessation of backtlow due to closure of the aortic valves.